Which is an absolute indication for LSCS ?
1. Type IV placental previa
2. Fetal Distress
3. Previous LSCS
4. Breech presentation

Correct answer: 1. Type IV placental previa

Explanation: Type IV placental previa